Elimination after 4 half lives in first order Kinetics is
1. 84%
2. 93%
3. 80.50%
4. 4.75%

Correct answer: 2. 93%

Explanation: Ans. is 'b' i.e., 93% Half life Elimination 1t%2 50% 2t'/2 75% 3 0/2 87.5% 41 93.75% 5 t'/ 96.875